Virus that has increased association with anal warts:
1. HPV
2. HIV
3. LMV
4. EBV

Correct answer: 1. HPV

Explanation: Anal Warts Or Condylomata Accumulata HPV forms the etiological basis of: Anal and perianal warts, AIN and SCC of the anus Subtypes (16,18,31,33) are associated with a greater risk of progression to dysplasia and malignancy Condylomata accuminata is the MC STD encountered by colorectal surgeons Most frequently observed inn homosexual men Clinical Presentation: Many are asymptomatic but pruritus, discharge, bleeding and pain are usual presenting complaints Rarely, relentless growth results in gaint condylomata (Buschke-Lowenstein tumour) which may obliterate the anal orifice Diagnosis is confirmed by biopsy Treatment: Application of 25% podophyllin Surgical excision Recurrence is common Ref: Sabiston 20th edition Pgno: 1412